Synkinesis is a sequel of
1. Facial nerve paralysis
2. Trigeminal nerve paralysis
3. Superficial temporal nerve paralysis
4. Greater petrosal nerve paralysis

Correct answer: 1. Facial nerve paralysis

Explanation: Synkinesis or mass movement is a complication of peripheral facial nerve paralysis which occurs due to cross-innervation of fibres. Ref: Dhingra 6th edition pg. 98